The false statement about informed consent document is?
1. Obtained in presence of two witnesses
2. Need not be signed by the doctor
3. Obtained before the actual doing of procedure
4. Minimum age to give consent for GPE except PV and PR is 12 years

Correct answer: 2. Need not be signed by the doctor

Explanation: Ans. is 'b' i.e., Not need to be signed by doctor Legally valid consent for medical examination and treatment is one:- 1) Given by person himself, if above 12 years, conscious and mentally sound (sane). 2) Or given by parent, guardian, or friend, if the patient is less than 12 years or is unconscious or is insane. 3) Is written informed consent, i.e. is given in writing after knowing the nature of the condition of procedure, its alternatives and its complications. All disclosures should be done in a language that the patient best understand. 4) Given in presence of two witnesses. 5) Given before the actual doing of the procedure. 6) Given freely, voluntarily and directly; without fear, force or fraud. 7) Signed by the doctor, patient (or guardian) and witnesses. Minimum age to give consent - No consent less than 12 years of age Only for GPE except for PV and PR from 12 to 18 years of age Anything else 18 years of age